In Radionuclide imaging the most useful radiopharmaceutical for skeletal imaging is:
1. Gallium 67
2. Technetium sulphur colloid
3. Technetium-99m
4. Technetium--99m linked to Methylene disphosphonate

Correct answer: 4. Technetium--99m linked to Methylene disphosphonate

Explanation: Technetium--99m linked to Methylene diphosphonate Normal Bone Scan Tracer uptake greatest in axial skeleton Background activity of soft tissue Kidneys routinely visualized Skull can appear uneven (variations in calvarial thickness) Sites of persistently increased symmetric uptake are- Acromial and Coracoid processes of the scapulae, Medial ends of the clavicles, Junction of the body Manubrium of the sternum The sacral alae